Impression techniques are used for recording
1. Oral mucosal tissues
2. Dental hard tissues
3. Oral mucosal tissues and dental hard tissues
4. None of the above

Correct answer: 3. Oral mucosal tissues and dental hard tissues